Fulminant Amoebic meningoencephalitis caused by?
1. Acanthamoeba
2. N.fowleri
3. E.Histolytic
4. E. Coli

Correct answer: 2. N.fowleri

Explanation: Ans. is 'b' i.e., N. fowleri